Roll back malaria programme focused mainly on -
1. IEC campaigns for community awareness
2. Insecticide treated bed nets
3. Development of larvivorus fishes for eradication of larvae.
4. Presumptive treatment of malaria case

Correct answer: 2. Insecticide treated bed nets

Explanation: Ans. is 'b' i.e., Insecticide treated bed nets The main strategies of Roll Back Malaria initiative are :Strengthen health system to ensure better delivery of health care, especially at district and community level.Ensure the proper and expanded use of insecticide treated mosquito nets.Ensure adequate access to basic health care and training of health care workers.Encourage the development of simpler and more effetive means of administering medicines, such as training of village health workers and mothers on early and appropriate treatment of malaria, especially in children.Encourage the development of more effective and new anti-malaria drugs and vaccines.